In an epidemic of plague, within 48 hours of application of insecticides by spraying the 'X' cheopis index should fall to -
1. 1
2. 0
3. 2
4. 5

Correct answer: 2. 0